Vas deferens is:-
1. Lined by pseudo stratified epithelium
2. Middle longitudinal layer is thickest among muscularis externa
3. Opens at prostatic urethra
4. None of above

Correct answer: 1. Lined by pseudo stratified epithelium

Explanation: The ductus deferens has narrow and irregular lumen with longitudinal mucosal folds lined with pseudostratified columnar epithelium with stereocilia. The underlying lamina propria consist of compact collagen and elastic fibers. The thick muscularis externa consist of three muscular coats : - a thin inner longitudinal layer - a thick middle circular layer - a thinner outer longitudinal layer. The muscularis layer is surrounded by adventitia with numerous blood vessels and nerves.